All the following drugs are teratogenic EXCEPT?
1. Alcohol
2. Phenytoin
3. Warfarin
4. Metoclopramide

Correct answer: 4. Metoclopramide

Explanation: Ans. is `d' i.e., Metoclopramide Teratogenic drugs (I am giving only important ones) o ACE inhibititors o Tricyclic antidepressants o Barbiturates o Carbamazapine o Phenytoin o Valproate o Diazepam o Alcohol o Isotretinoin o Lithium o Propylthiouracil o Smoking o Steroids o Carbimazol Tetracycline Warfarin Losartan Cyclophosphamide